Which is not classical 4 A's of Schizophrenia
1. Ambivalence
2. Autism
3. Affect
4. Automatism

Correct answer: 4. Automatism

Explanation: D i.e. Automatism